A patient presents with jaundice, Physical examination reveals an enlarged nodular liver. CT of the abdomen shows a cirrhotic liver with a large mass. CT guided biopsy of the mass demonstrates a malignant tumor derived from hepatic parenchymal cells. Infection with which of the following viruses would most directly related to the development of this tumor?
1. Epstein-Barr virus
2. Human Herpes virus type A
3. Human T-lymphocyte virus
4. Hepatitis B virus

Correct answer: 4. Hepatitis B virus